A patient comes to you complaining that whenever he takes aspirin for headache, he develops severe shortness of breath. Which of the following may be partly responsible for this effect ?
1. Leukotrienes
2. Prostaglandin E
3. Thromboxane A2
4. Prostacyclin

Correct answer: 1. Leukotrienes